The most specific autoantibody associated with systemic lupus erythematosus is-
1. dSDNA
2. PCNA
3. Cardiolipin
4. Clq

Correct answer: 1. dSDNA

Explanation: Ref image - Harrison's internal medicine 20e p2517